Cilastatin is combined with which of the following to increase its duration?
1. Carbenicillin
2. Cefoperazone
3. Imipenem
4. Penicillin G

Correct answer: 3. Imipenem

Explanation: Cilastatin inhibits renal dihydropeptidase enzyme that metabolizes Imipenem.